Circumcision is contraindicated in
1. Balanitis
2. Hypospadias
3. Paraphimosis
4. Meatal stenosis

Correct answer: 2. Hypospadias

Explanation: Circumcision is not done in patients with hypospadias as the prepuce can later be used in surgical repair. Circumcision is mostly done for cultural reasons. The medical indications for circumcision are: Phimosis & Paraphimosis Recurrent balanoposthitis. (i.e. inflammation of the foreskin) Recurrent urinary tract infection. (Circumcision is occasionally justified in boys with an abnormal upper urinary tract and recurrent urinary infection. It may also help boys with spina bifida who need to perform clean intermittent urethral catheterization.) An emerging and still controversial indication for circumcision is in the prevention of sexually acquired human immunodeficiency virus (REV) infection in communities where this disease is common; large clinical trials have recently shown that circumcision reduces the risk of HIV transmission. Circumcision for medical reasons is best performed under general anesthesia. Reference : page 1056 SRB's manual of surgery 5th edition and page1371 Bailey and Love's short practice of surgery 25th edition